Malignant hyperthermia is associated with all of the following except?
1. Succinyl choline
2. Dantrolene
3. Halothane
4. Methoxyflarane

Correct answer: 2. Dantrolene

Explanation: Ans. is 'b' i.e., Dantrolene Drugs causing malignant hyperthermia* Succinylcholine, Desflurane, Tricyclic antidepressants, Halothane, Cyclopropane, Phenothiazines, Isoflurane, Ether, Lignocaine, Enflurane, Methoxyflurane, Sevoflurane & MAO inhibitors.* Succinylcholine is the most common cause of MH.* Amongst inhalational agents halothane is the most common cause.